This round hyperdense lesion on NC-CT located in the 3rd ventricle is most likely to be a:
1. Arachnoid cyst
2. Epidermoid cyst
3. Colloid cyst
4. Giant cell astrocytoma

Correct answer: 3. Colloid cyst

Explanation: Ans. C Colloid cystAxial NC-CT scan shows a well-defined hyperdense round lesion in the 3rd ventricle which is classic for colloid cyst. This cyst can sometimes lead to obstruction of CSF flow with hydrocephalous. Appears hyperintense on T1W MRI due to high protein content.